An 8 year old boy presents with boggy swelling and easily pluckable hair, Diagnosis is –
1. Tinea capitis
2. Alopecia areata
3. Tuberculorid leprosy
4. Pityriasis alba

Correct answer: 1. Tinea capitis

Explanation: Boggy swelling with easily pluckable hair suggests the diagnosis of keroin type of Tinea capitis.